The following drugs are useful in hypertension except
1. Calcium channel blockers
2. Alpha methyl dopa
3. Beta Mockers
4. Pentoxifyline

Correct answer: 4. Pentoxifyline